A 34 years old male presents with a history of thirst, polyuria and recent 3.2 kg weight loss. His urine contains a small amount of ketones. Which of the following would suggest he is most likely to have type 2 diabetes than type 1?
1. BMI of 23
2. High circulating insulin Levels
3. Positive islet cell antibodies
4. Plasma bicarbonate of 8 mmol/l

Correct answer: 2. High circulating insulin Levels